Differential diagnosis of acute funicultitis with a small inguinal swelling is -
1. Undescended testes
2. Acute orchitis
3. Lymphadenitis
4. Small strangulated inguinal hernia

Correct answer: 4. Small strangulated inguinal hernia